A change in the intensity and direction of functional forces would produce demonstrable change in the internal architecture and external form of bone was stated by:
1. Melvin moss
2. E.H. angle
3. Zadmison
4. Julies Wolff

Correct answer: 4. Julies Wolff